Abnormal cellular growth may result in either a decrease or an increase in the mass of the involved tissue. Both hyperplasia and hypertrophy are found in:
1. Pregnancy uterus
2. Cardiac muscle in cardiomegaly
3. Skeletal muscle in athelete
4. Breast development in lactation

Correct answer: 1. Pregnancy uterus

Explanation: Uterine myometrial hyperplasia and hypertrophy are seen during pregnancy (hormone-induced). Hypertrophy results from increased amounts of cytoplasm and cytoplasmic organelles in cells.Hyperplasia results when cells of a tissue are stimulated to undergo mitotic division, thereby increasing the number of cells. Ref: Chandrasoma P., Taylor C.R. (1998). Chapter 16. Disorders of Cellular Growth, Differentiation, & Maturation. In P. Chandrasoma, C.R. Taylor (Eds), Concise Pathology, 3e.